Not used for treatment and/or prophylaxis of seasonal influenza -
1. Amantidine
2. Rimantidine
3. Oseltamivir
4. Acyclovir

Correct answer: 4. Acyclovir

Explanation: Ans. is 'd' i e., Acycloviro Two classes of antiviral drugs are available for the treatment and prevention of influenzai) Neuraminidase inhibitors: Zanamivir, Oseltamivir, peramivirii) Adamantanes: Amantidine, rimantidine